Carcinoma cervix is caused by HPV :
1. 18, 21, 33
2. 16, 18, 21
3. 16, 18, 33
4. 16, 21, 33

Correct answer: 3. 16, 18, 33

Explanation: 16, 18, 33